Which of the following is not a fundamental aspect fo Disaster management?
1. Disaster response
2. Disaster mitigation
3. Disaster awakening
4. Disaster preparedness

Correct answer: 3. Disaster awakening

Explanation: -disaster management has three fundamental aspects; disaster response disaster preparedness disaster mitigation - the disaster cycle progress from response, rehabilitation, reconstruction, mitigation and preparedness. Reference : Park's textbook of preventive and social medicine, 23rd edition, pg no:795,796